Composites usually do not need pulp thermal protection below it because they have:
1. High Linear coefficient of thermal expansion
2. High density
3. Low thermal conductivity
4. All of the above

Correct answer: 3. Low thermal conductivity

Explanation: Composites usually donot need liners and bases for thermal protection as they are poor conductors of heat and have low thermal conductivity. They may need liners for pulp capping and also to reduce effects of polymerization shrinkage but not for thermal protection.
Reference- Sturdevant 6th ed